Poiseuifte's law is
1. F = (PA - PB) pr4/8e4
2. F = (PA x PB) pr4/8e1
3. F = (PA + PB) pr4/8e1
4. F = (PA / PB) pr4/8e1

Correct answer: 1. F = (PA - PB) pr4/8e4

Explanation: By integrating the velocities of all the concentric rings of flowing blood and multiplying them by the areas of the rings, one can derive the following formula, known as Poiseuille's law: in which F is the rate of blood flow, DP(PA-PB) is the pressure difference between the ends of the vessel, r is the radius of the vessel, l is length of the vessel, and e is viscosity of the blood. F = (PA - PB) pr4/8e4 Ref: Guyton and Hall Textbook of Medical Physiology (12th Edn) page No:309